Rigler's triad doesn't includes
1. Pheumobilia
2. Ectopic stone
3. Cholangitis
4. Intestinal obstruction

Correct answer: 3. Cholangitis

Explanation: Rigler's triad is a combination of findings on an abdominal radiograph of people with gallstone ileus,a condition where a large gallstone causes bowel obstruction.it consists of (a)Small bowel obstruction,(b)a gallstone outside the gallbladder(c)air in the bile ducts(pneumobilia). Reference:SRB's manual of surgery,5th edition,page no:649